A 65 years old patient of coronary artery disease was on Aspirin for 2 years. He now complains of black stools. Abdominal examination is normal. What is the most probable diagnosis?
1. Ileocecal TB
2. Ca colon
3. Esophageal varices
4. Duodenal ulcer

Correct answer: 4. Duodenal ulcer